A young male presents with reduced sleep, hyperactivity and elevated mood. He has a family history of mania. Which of the following drug should be used for long term treatment of this patient?
1. Sodium valproate
2. Lithium carbonate
3. Carbamazepine
4. Barbiturates

Correct answer: 2. Lithium carbonate

Explanation: (Ref: Katzung 14th ed. P 524)Drug of choice for mania is LithiumDOC for acute attack of manic episode: Atypical antipsychotics/BenzodiazepinesAgents that can be used in treatment of Mania: (Mn: Li ACT Val)#Lithium (DOC)#Atypical antipsychotics#Carbamazepine#Topiramate#Valproate